Twin peak sign seen in:
1. Monochorionic diamniotic
2. Dichorionic monoamniotic
3. Conjoined twins
4. Diamniotic dichorionic

Correct answer: 4. Diamniotic dichorionic

Explanation: The twin peak sign is characteristic of dichorionic pregnancy and is due to chorionic tissue between the two layers of the inert twin membrane at the placental origin.In monochorionic twins there is no chorionic tissue giving rise to T sign on (refer pgno:180 sheila textbook of obstetrics 2nd edition)